All are true about Syndrome X EXCEPT:
1. Hyperglycemia
2. Hypoinsulinemia
3. Abdominal obesity
4. Hypertriglyceridemia

Correct answer: 2. Hypoinsulinemia

Explanation: ANSWER: (B) HypoinsulinemiaREF: Harrison s 18th edition table 242-1Metabolic syndrome is a combination of medical disorders that, when occurring together, increase the risk of developing cardiovascular disease and diabetes.Metabolic syndrome is also known as metabolic syndrome X, cardiometabolic syndrome, syndrome X, insulin resistance syndrome, Reaven's syndrome (named for Gerald Reaven)DIAGNOSTIC CRITERIA FOR THE METABOLIC SYNDROMEThe US National Cholesterol Education Program Adult Treatment Panel III (2001) requires at least three of the followingCentral obesity: Waist circumference >102 cm (M), >88 cm (F)Hypertriglyceridemia: Triglycerides 150 mg/dL or specific medicationLow HDL cholesterol: <40 mg/dL and <50 mg/dL, respectively, or specific medicationHypertension: Blood pressure 130 mm systolic or 85 mm diastolic or specific medicationFasting plasma glucose 100 mg/dL or specific medication or previously diagnosed Type 2 diabetes